For controlling an outbreak of cholera, all of the following measures are recommended except ?
1. Mass chemoprophylaxis
2. Proper disposal of excreta
3. Chlorination of water
4. Early detection and management of cases

Correct answer: 1. Mass chemoprophylaxis

Explanation: Ans. is 'a' i.e., Mass chemoprophylaxis o Mass chemoprophylaxis is not advised for the total community because in order to prevent one serious case of cholera, some 10,000 persons must be given the drug. o Further, the drug's effect is only short-lived for a few days. o Whenever mass chemoprophylaxis was attempted, it failed to stop the spread of cholera. o Because of these reasons, chemoprophylaxis is advised only for household contacts or of a closed community in which cholera has occurred.